Which of the following mechanism is associated with a covalent modification
1. Reversible phosphorylation
2. Acetylation
3. ADP-ribosylation
4. All the above

Correct answer: 4. All the above

Explanation: Acetylation, ADP-ribosylation, methylation, and phosphorylation are all examples of "reversible" covalent modifications.This is very important part of enzymatic regulation (EX: Phosphorylation-Dephosphorylation reactions) Harper 30th edition pg: 92